Which of the following cell is known as 1st cousin of melanocyte:
1. Nevus cell.
2. Junctitonal cell
3. Myelin cell
4. None of the above

Correct answer: 1. Nevus cell.